Which of the following is not a sign of succesfull stellate ganglion block-
1. Nasal stuffness
2. Guttman sign
3. Horner's syndrome
4. Bradycardia

Correct answer: 4. Bradycardia

Explanation: Signs of successful stellate ganglion block Horner's syndrome Flushing of face Lacrimation/ Increased tear production Infection of tympanic membrane(Muller syndrome) Stuffy nose (Guttman's sign) Increased temprature of face and upper extremity on ipsilateral side of block Venodilation in the ipsilateral extremity